Rule of nine is related to
1. Hanging
2. Drowning
3. Burns
4. Asphyxia

Correct answer: 3. Burns

Explanation: Rule of nine The body surface involved is traditionally determined by the surgical ' rule of nine'. According to this rule, the percentage of area attributed to the different parts of body surface. Ref: TEXTBOOK OF FORENSIC MEDICINE AND TOXICOLOGY KRISHNAN VIJ FIFTH EDITION PAGE 162